Which of the following drugs is not used for the management of multiple myeloma
1. Bortezomib
2. Hydroxyurea
3. Melphelan
4. Cyclophosphamide

Correct answer: 2. Hydroxyurea

Explanation: Answer is B (Hydroxyurea) Hydroxyurea is not recommended for the management of multiple myeloma Chemotherapeutic Agents Recommended in the management of multiple myeloma Bortezomib Cyclophosphamide Doxorubicin Vincristine Lenalidomide Thalidomide Melphelan Dexamethasone / Prednisolone Interferon (Maintenance) The most commonly used chemotherapy agents in non-transplant and transplant candidates and in relapsed orrefractory myeloma, based on the 2007 National Comprehensive Cancer Network (NCCN) guidelines Primary Induction therapy for transplant candidates Primary Induction Therapy for non-transplant Candidates Bortezomib/dexamethasone (category 1) * Bortezomib/dexamethasone Bortezomib/cyclophosphamide/dexamethasone * Dexamethasone (category 2B) Bonezomib/doxorubicin/dexamethasone (category I) * Lenalidomide/low-dose dexamethasone (category 1) Bortezomib/enalidomideQ/dexamethasone (category 2B) * Liposomal doxorubicin/vincristine/dexamethasone (D VD) Bortezomib/thalidomide/dexamethasone (category 1) (category 2B) Dexamethasone (category 2B) * Melphalan/prednisone (MP) Lenalidomide'/dexamethasone (category I) * Melphalan/prednisone/bortezomib (MPB) (category I) Liposomal doxorubicin/vincristine/dexamethasone * Melphalan/prednisone/thalidomide (MPT) (category 1) (DVD) (category 2B) * Melphalan/prednisone/lenalidomide (MPL) Thalidomide/dexamethasone (category 2B) * Thalidomide/dexamethasone (category 2B) * Vincristine/doxorubicin/dexamethasone (VAD) (cateoory 2B) Maintenance Therapy Sal * Interferon (category 2B) * Repeat primary induction therapy (if relapse at > 6 mo) * Lenalidomide' * Bendamustine (category 2B) * Steroids (category 2B) * Boezomibg (category 1) * Thalidomide (category 1) +-prednisone (category 2B) * Bortezomib/dexamethasone * Borlezomib/lenalidomide/dexamethasone (category 2B) * Bortezomib/liposomal doxorubicing (category I) * Cyclophosphamide-VAD * Cyclophosphamide/bortezomib/dexamethasoneh * Cyclophosphamide/lenalidomide/dexamethasoneh * Dexamethasone * Dexamethasone/cyclophasphamide/etoposide/cisplatin (DCEP) * Dexamethasone/thalidomide/cisplatin/doxorubicin/ cyclophosphamide/etoposide (DT-PACE) * High-dose cyclophosphamide * Lenalidomide/dexamethasone (category 1) * Lenalidomide * Thalidomide * Thalidomide/dexamethasone aSelected, but not inclusive of all regimens -->Thalidomide/dexamethasone bTreatments are listed alphabatically and do not imply preference. cRecommend herpes zoster prophylaxis for patients treated with bortezomib dProphylactic anticoagulation recommended for patients receiving thalidomide-based therapy or lenalidomide with dexmethasone. fLenalidomide as maintenance has been evaluated in three independent randomized clinical trials. Results from each of these trials show improvements in TTP. The panel felt that this warranted inclusion: however, this recommendation remains Category 2A since these results have not undergone full peer review and safety/efficacy data are still preliminary. gBortezomib/liposomal doxorubicin is prefered to bortezumib single agent hThese are representative regimens combining standard agents with novel agents Note: All recommendations are category 2A unless otherwise indicated. Clinical Trials: NCCN believes that the best management of any cancer patient is in a clinical trial. Participation in clinical tirals is especially encouraged.